TRUE statement regarding childhood malignancy is –
1. Wilm's tumour is the commonest
2. AML is the most common malignancy
3. Neuroblastoma arises in the first 4 years
4. None of the above

Correct answer: 3. Neuroblastoma arises in the first 4 years

Explanation: Childhood malignancies 
i) Most common tumor in childhood is leukaemias especially acute lymphoblastic leukaemia.
ii) Second most common tumor → Brain tumors
iii) Third most common tumor → Lymphomas
iv) Fourth most common tumor → Neuroblastoma  
v) Fifth most common tumors →Wilms tumor

Most of these tumors occur below the age of 5 years.